In normal pregnancy b-Hcg doubles in
1. 24hours
2. 48hours
3. 72hours
4. 90hours

Correct answer: 2. 48hours

Explanation: With early normal progressing uterine pregnancies, the mean doubling time for serum bhCG levels was approximately 48 hours. The lowest normal value for this increase was 66 percent.Reference: William's Obstetrics; 24th edition; Chapter 19; Ectopic Pregnancy